"Bamboo hair" is seen in:
1. Trichorrhexis nodosa
2. Netherton syndrome
3. Kinky hair syndrome
4. Uncombable hair syndrome

Correct answer: 2. Netherton syndrome

Explanation: Ans. b. Netherton syndromeNetherton syndromeFragile hairs with bamboo-like nodes are seen in Netherton syndrome.Ichthyosis linearis circumflexa (ILC), 'bamboo hairs' (Trichorrhexis invaginata) and 'erythematous scaly dermatitis' are the features of Netherton syndrome.Option a: Trichorrhexis nodosa: It is a defect in the hair shaft characterized by thickening or weak points (nodes) that cause the hair to break off easily.Option c: Kinky hair syndromeIt is also known as Menkes disease, an X-linked recessive disorder in which copper deficiency leads to neurodegeneration, 'kinky hair,' and connective tissue abnormalities.Pili torti (also known as "Twisted hairs") is the characteristic phenotype seen in Menkes disease.Option d: Uncombable hair syndromeIt is also known as Spun-glass hair.Triangular cross-section of Hair and canalicular depression or gutter along one side are characteristically observed which contributes to its hair stiffness.